Grevious iniuries are:
1. Severe bodily pain for 10 days
2. Not able to work for 17 days
3. Dislocation of tooth
4. All

Correct answer: 3. Dislocation of tooth

Explanation: C i.e. Dislocation of tooth